The most general term for the process by which the amount of active drugs in the body is reduced after absorption into the systematic circulation is
1. Excretion
2. Elimination
3. First pass metabolism
4. Distrubtion

Correct answer: 2. Elimination

Explanation: Promotional term for the process by which the amount of active drug in the body is reduced after absorption into the systematic circulation is elimination as it elimination amount of drug in the body